The cause for contact ulcer of vocal cord
1. Voice abuse
2. Smoking
3. TB
4. Valignancy

Correct answer: 1. Voice abuse